All are types of elastic cartilages, EXCEPT:
1. Pinna
2. Epiglottis
3. Tip of arytenoid
4. Thyroid cartilage

Correct answer: 4. Thyroid cartilage

Explanation: Cartilage is a fom of connective tissue, which contains a gel like matrix embedded with cells. They are of three types: Hyaline cartilage, elsatic cartilage and fibrous cartilage.Elastic cartilage consists of numerous yellow elastic fibres embedded in a matrix which explains its flexibility. It is seen in auricle of the ear, external auditory meatus, auditory tube and the epiglottis. Larynx is composed of several cartilages. The thyroid cartilage, cricoid cartilage, arytenoid cartilages, corniculate cartilages and cuneiform cartilages are all composed of hyaline cartilage. Ref: Snell's, Clinicql Anatomy, 7th Edition, Page 39